Recurrent chalazion has the risk of
1. Squamous cell carcinoma
2. Malignant melanoma
3. Sebaceous cell carcinoma
4. All the above

Correct answer: 3. Sebaceous cell carcinoma

Explanation: Complications of Recurrent chalazion are meibomian gland adenocarcinoma and sebaceous cell carcinoma.